All are true about Diabetes insipidus except?
1. Low urine osmolality
2. Dilutional Hyponatremia
3. Water deprivation test is used for diagnosis
4. Polyuria

Correct answer: 2. Dilutional Hyponatremia

Explanation: Answer- B. Dilutional HyponatremiaIn diabetes insipidus, the serum osmolality is increased with inappropriately low urine osmolality.There is polyuria, as ADH deficienry causes excessive water loss in urine.